A young adult shows non-fluctuant, tender and red swellingin the marginal gingival lesion. This is most likely:
1. Periodontal abscess
2. Periapical abscess
3. Gingival abscess
4. Periapical sinus

Correct answer: 3. Gingival abscess